Revealing the identity of rape victim is punishable under
1. 224 IPC
2. 228 A IPC
3. 376 IPC
4. 375 IPC

Correct answer: 2. 228 A IPC

Explanation: Revealing the identity of rape victim is punishable offence. Imprisonment for 2 years or fine.